All are features of cushlngs disease except -
1. Central obesity
2. Episodic hypertension
3. Easy bruising
4. Glucose intolerance

Correct answer: 2. Episodic hypertension

Explanation: diastolic hypertension occurs in Cushing's syndrome ( Harrison 17 pg 2256)